Partial agonist can antagonise the effects of a full agonist because it has
1. High affinity but low intrinsic activity
2. No affinity and low intrinsic activity
3. Low affinity but high intrinsic activity
4. High affinity but no intrinsic activity

Correct answer: 1. High affinity but low intrinsic activity

Explanation: Agonists:- Have both affinity and maximal intrin-sic activity. Competitive antagonists :- Have affinity but no intrinsic activity. Partial agonists:- Have affinity and submaximal intrinsic activity. Inverse agonists:- Have affinity but intrinsic activity with a minus sign (IA between 0 and -1). Ref:- kd tripathi; pg num:-41,42